Neurocysticercosis is treated by all the following drugs, EXCEPT -
1. Albendazole
2. Niclosamide
3. Flubendazole
4. Praziquantel

Correct answer: 2. Niclosamide